All of the following are seen in Severe Falciparum malaria infection EXCEPT
1. Severe normocytic normochromic anaemia
2. Renal failure
3. Hyperglycemia
4. Acidemia/acidosis

Correct answer: 3. Hyperglycemia

Explanation: (C) Hyperglycemia Manifestations of Severe Falciparum MalariaSignsMajor* Unarousable coma/cerebral malaria* Acidemia/acidosis* Severe normochromic, normocytic anemia* Renal failure* Pulmonary edema/adult respiratory distress syndrome* Hypoglycemia* Hypotension/shock* Bleeding/disseminated intravascular coagulation* Convulsions, HemoglobinuriaOther* Impaired consciousness/arousable* Extreme weakness* Hyperparasitemia* Jaundice# Severe normochromic, normocytic anemia Hematocrit of <15% or hemoglobin level of <50 g/L (<5 g/dL) with parasitemia of >100,000/L. Renal failure: Urine output (24 h) of <400 mL in adults or <12 ml_/kg in children; no improvement with rehydration; serum creatinine level of >265 mol/L (>3.0 mg/ dL). Hypoglycemia: Plasma glucose level of <2.2 mmol/L (<40 mg/dL). Acidemia/acidosis Arterial pH <7.25 or plasma bicarbonate level of <15 mmol/L; venous lactate level of >5 mmol/L manifests as labored deep breathing, often termed "respiratory distress".